In PA view of X-ray chest, right border of the heart is formed by all except:
1. Superior venacava
2. Inferior venacava
3. Right atrium
4. Left atrial appendage

Correct answer: 4. Left atrial appendage

Explanation: Ans. Left atrial appendage